All are true of arhalasia cardia except-
1. Dysphagia
2. Aspiration pnemonitis
3. Mecholyl test is hyposensitive
4. X-ray finding of dilated esophagus with a narrow end

Correct answer: 3. Mecholyl test is hyposensitive